Acrodynia is associated with
1. Mercury (Hg)
2. Phenolic acid
3. Oxalic acid
4. Carbolic acid poisoning

Correct answer: 1. Mercury (Hg)

Explanation: A i.e. Mercury